Subclinical cases are seen in all except-
1. Measles
2. Rubella
3. Polio
4. Influenza

Correct answer: 1. Measles

Explanation: The only source of infection is a case of measles Carriers are not known to occur. There is some evidence to suggest that subclinical measles occurs more frequently than previously thought. Ref: 25th edition, Park's Textbook of Preventive and Social Medicine, Page no. 159